During the first week of infection, Dengue can be best detected by:
1. NS1 antigen detection
2. MACELISA
3. ICT test to detect IgM
4. None of the above

Correct answer: 1. NS1 antigen detection

Explanation: Dengue: - Caused by Group-B Arbovirus - D1, D2, D3, D4 - Vector - Aedes aegypti - Reservoir - Man, Aedes - Incubation period - 3 to 10 days - Diagnosis: Clinically - Torniquet test - >= 10 spots - Dengue fever ; >= 20 spots - Dengue hemorrhagic fever. Serologically - NS-1 Antigen Test comes positive even in 1st week. - Presentation: Dengue fever Dengue hemorrhagic fever Dengue shock syndrome - Backbone fever - Fever - Hemorrhagic features - Thrombocytopenia - Hemo-concentration - DHF +ve - Shock - Vaccine : DENGAVARIA , Strain: CYD - TDV ; recommended in age groups 9-45yrs